Shortest acting muscle relaxant is
1. Succinylcholine
2. Vecuronium
3. Pancuronium
4. Atracurium

Correct answer: 1. Succinylcholine

Explanation: Ans) aSuccinylcholine is the only available depolarizing neuromuscular blocker. It is characterized by rapid onset of effect and ultrashort duration of ac-tion because of its rapid hydrolysis by butyryl cholinesterase.Classification of nondepolarizing neuromuscular blockers according to duration of action (time to T1 = 25% of control) after twice the ED95Class of BlockerLong-Acting (>50 min)Intermediate- Acting (20-50 min)Short-Acting (15-12 min)Ultrashort- acting (<10-12min)Steroidal compoundPancuronium pipecuroniumVecuronium Rocuronium Benzylisoquinolinium compoundsd-Tubocurarine Metocurine DoxacuriumAtracurium CisatrucuriumMivacurium Others Asymmetrical mixed-onium chlorofumarates GantacuriumPhenolic etherGallamine Diallyl derivative of toxiferineAlcuromum